A 50-year old chronic alcoholic while having dinner suddenly becomes aphonic and is brought to the casualty with the complaint of respiratory distress. Immediate management should be:
1. Cricothyroidotomy
2. Emergency tracheostomy
3. Humidified oxygen
4. Heimlich maneuver

Correct answer: 4. Heimlich maneuver

Explanation: The victim may be noticed collapsing over the dining table suddenly after having meals, without any signs of respiratory distress. The name, 'cafe coronary' is a misnomer. The intoxication causes suppression of gag-reflex which makes the individual susceptible to Cafe Coronary. Autopsy reveals a bolus of food in the pharynx or larynx. Cause of death is Asphyxia, followed by reflex cardiac arrest. Heimlich Manoeuvre can prevent choking & Cafe Coronary.